A 60 year old man is brought to a psychiatrist with a 10 year history, that he suspects his neighbours and he feels that whenever he passes by they sneeze and plan agaist behind his back. He feels that his wife has been replaced by a double and calls police for help. He is quite well groomed alert, occasionaly consumes alcohol, likely diagnosis is:
1. Paranoid personality
2. Paranoid schizophrenia
3. Alcohol withdrawal
4. Conversion disorder

Correct answer: 2. Paranoid schizophrenia

Explanation: B i.e. Paranoid schizophrenia Problems of patient: 1. From 10 years & i.e. started at age of 50 years, 2. Feels that neighbours plan against him, 3. Delusion of doubles (wife has been replaced by a double), 4. Consumes alcohol occasionally. But the patient is well groomed, alert. Approach to this case.